Common site of haematopoiesis in fetus is ?
1. Liver
2. Spleen
3. Bone marrow
4. Gut

Correct answer: 1. Liver

Explanation: Ans. is 'a' i.e., Liver o In early fetal life erythropoiesis takes place in the yolk sac. o By the third month erythropoiesis moves to liver which is the chief site for erythropoiesis until shortly before birth. o In human adults, erythropoiesis occurs in the bone marrow.